A new born was diagnosed as having a congenital abnormality that resulted in transposition of great vessels. While preparing the infant for surgery, the medical team needed to keep the ducts arteriosus open. They did this by infusing:
1. Cortisol
2. Indomethacin
3. Alprostadil
4. Tacrolimus

Correct answer: 3. Alprostadil

Explanation: Alprostadil is a PGE1 analog that is naturally produced in tissues such as seminal vesicles and cavernous tissues, in the placenta, and in the ductus arteriosus of the fetus. Therapeutically, alprostadil can be used to treat erectile dysfunction or to keep the ductus arteriosus open in neonates with congenital heart conditions until surgery is possible. PGE1 maintains the patency of the ductus arteriosus during pregnancy. The ductus closes soon after delivery to allow normal blood circulation between the lungs and the heart. Infusion of the drug maintains the ductus open as it naturally occurs during pregnancy, allowing time until surgical correction is possible.